Vaccine given at birth is:
1. OPV
2. DPT
3. Measles
4. MMR

Correct answer: 1. OPV

Explanation: Ans: a (OPV) Ref: Park, 19 ed, p. 105At birth OPV zero dose and BCG are givenNational immunization schedulea) For infantsAt birthAt 6 weeksBCG and OPV - 0 doseBCG (if not given at birth)DPT-1 and OPV-1At 10 weeksDPT-2 and OPV-2At 14 weeksDPT-3 and OPV-3at 9 monthsmeaslesb) At 16-24 months-DPT and OPVc) 5- 6 years-DTThe second dose of DT should be given at an interval of one month if there is no clear history or documented evidence of previous immunization with DPT.d) At 10 and 16 years-TT.The second dose of TT should be given at an interval of one month if there is no clear history or documented evidence of previous immunization with DPT, DT, or TT vaccinese) For precnant women- Early in pregnancy- TT-1 or boosterOne month after TT-1, TT-2 should be given